All are risk factors for Fibroid except
1. Obese
2. Multiparous woman
3. Estrogen
4. Red meat eater

Correct answer: 2. Multiparous woman

Explanation: Risk factor of Fibroids: Family history Genetic High estrogen exposure: nulliparity, early menarche, use of high dose OCP Red meat eater Obesity Black women Growth factors Transforming growth factor B Platelet derived growth factor Epidermal growth factor Protective factors Smoking Pregnancy, multiparity Excercise Diet: leafy vegetables